Nocardia can be differentiated from other Actinomyces by ?a) ZN stainingb) Fontana stainc) Gram stainingd) Oxygen requirement
1. b
2. c
3. ad
4. ab

Correct answer: 3. ad